Agonistic action at which of the following adrenergic receptors results in the reduction of aqueous secretion?
1. b1 receptor
2. b2 receptor
3. M2 receptor
4. a2 receptor

Correct answer: 4. a2 receptor

Explanation: Stimulation of a2 receptors located on ciliary epithelium reduces secretion of aqueous humor. They are useful in glaucoma as they reduce the i.o.t a2 agonists used in glaucoma are : Apraclonidine and Brominidine